Concentration of sodium in RL is
1. 154
2. 120
3. 130
4. 144

Correct answer: 3. 130

Explanation: Sodium concentrations in various crystalloids and colloid Hartmann's (RL) 130mmol/L Normal saline (0.9% NaCl) 154mmol/L Dextrose saline (4% dextrose in 0.18 saline) 30mmol/L Gelofusine 150mmol/L Hemacel 145 mmol/L Hetastarch - Lactated potassium saline injection (Darrow's solution) 121mmol/L Ref: Bailey and love 27th edition Pgno :281